Sensitivity of uterine musculature :
1. Enhanced by progesterone
2. Enhanced by estrogen
3. Inhibited by estrogen
4. Enhanced by estrogen and inhibited by progesterone

Correct answer: 4. Enhanced by estrogen and inhibited by progesterone

Explanation: Effect of estrogen and progesterone on uterus